HCI is secreted by which cells of stomach ?
1. D-cells
2. Zymogen cells
3. Chief cells
4. Oxyntic cells

Correct answer: 4. Oxyntic cells

Explanation: Ans. is 'd' i.e., Oxyntic cells